Phospholipids include all except
1. Plasmalogens
2. Dipalmitoyl lecithin
3. Ceramide
4. Cardiolipin

Correct answer: 3. Ceramide

Explanation: Classification of lipids Phospholipids, containing phosphoric acid. 1. Nitrogen-containing glycerophosphatides: i. Lecithin (phosphatidylcholine) ii. Cephalin (phosphatidylethanolamine) iii. Phosphatidylserine 2. Non-nitrogen glycerophosphatides i. Phosphatidylinositol ii. Phosphatidylglycerol iii. Diphosphatidyl glycerol (cardiolipin) 3. Plasmalogens, having long chain alcohol i. Choline plasmalogen ii. Ethanolamine plasmalogen 4. Phospho sphingosines, with sphingosine SphingomyelinRef: DM Vasudevan - Textbook of Biochemistry, 8th edition, page no: 74, Table 7.1.